Kidney size increases in pregnancy by
1. 0.5cm
2. 1.5cm
3. 2cm
4. 2.5cm

Correct answer: 2. 1.5cm

Explanation: Kidney size increases approximately 1.5 cm, returns to normal size in postpartum.(Ref: William's Obstetrics; 25th edition)